Which of the following hormones is known to play a role in development of ovarian hyperstimulation syndrome?
1. Leutenizing hormone
2. HCG
3. FSH
4. Progesterone

Correct answer: 2. HCG

Explanation: Human chorionic gonadotropin is responsible for development of ovarian hyperstimulation syndrome.